The vitamin used for transamination is :
1. Pyridoxal phosphate
2. Riboflavin
3. Thiamine
4. Cyanocobalamine.

Correct answer: 1. Pyridoxal phosphate

Explanation: Ans. is 'a' i.e. Pyridoxal phosphate : Transaminationis a reversible reaction in which Alpha - NH2 group of one amino acid is transferred to a Alpha - Keto acid resulting in formation of a new amino acid and a new keto acid. Enzyme - is Transaminases Coenzyme - Pyridoxal phosphate